Inhaling the cloth soaked in drug is
1. Bagging
2. Spraying
3. Huffing
4. Sniffing

Correct answer: 3. Huffing

Explanation: Sniffing: Inhaling fumes from the liquid in anopen container.Bagging: Placing the chemical in a bag and thenputting it over the face.Huffing: Applying the chemical to a cloth/rag andthen inhaling it by covering nose and mouth withthe cloth/rag.